Most common site of metastases in case of Osteosarcoma DELETE
1. Brain
2. Lungs
3. Liver
4. Bladder

Correct answer: 2. Lungs

Explanation: Almost 10 percnt of have metastases at presentation Metastases is most common to lungs, but Hematogenous spread to other organs is also possible -including lymph nodes, brain, skeleton Refer Apleys 9th/e p 207